Empty spasodic agent for the treatment of intestinal colic:
1. Hyoscine.
2. Dicyclomine.
3. Propantheline.
4. All of the above.

Correct answer: 4. All of the above.

Explanation: Other than these oxyphenonium and clidinium can also be used.